Following feature differentiate hydranencephaly from hydrocephalus ?
1. Hydranencephaly is static while hydrocephalus continue to increase in size
2. Hydranencephaly does not cause increase in head size
3. Cerebral cortex are deficiency/hypoplastic in hydranencephaly
4. All of the above

Correct answer: 3. Cerebral cortex are deficiency/hypoplastic in hydranencephaly

Explanation: Ans. is 'c' i.e., Cerebral cortex are deficiency/hypoplastic in hydranencephaly Hvdranencephaly is a rare encephalopathv that occurs in-utero. It is characterised by destruction of the cerebral hemispheres with transformation of the same into a membranous sac containing cerebrospinal fluid and the remnants of cortex and white matter . The midbrain and brainstem are relatively intact. The cause of hydranencephaly is unknown, but bilateral occlusion of the internal carotid arteries during early fetal development would explain most of the pathologic abnormalities. Affected infants may have a normal or enlarged head circumference at birth that grows at an excessive rate postnatally. Transillumination shows an absence of the cerebral hemispheres. The child is irritable, feeds poorly, develops seizures and spastic quadriparesis, and has little or no cognitive development. A ventriculoperitoneal shunt prevents massive enlargement of the cranium.. Porencephaly is considered a less severe degree of the same pathology